Which one of the following statement is false about Pituitary gland?
1. Somatotropic hormone secretion
2. Blood supply is by circle of Willis
3. It is derived completely from ectoderm
4. It is connected to thalamus by infundibulum

Correct answer: 4. It is connected to thalamus by infundibulum

Explanation: The pituitary gland is suspended from the floor of the 3 rd ventricle by a stalk called the infundibulum.It secretes somatotropic hormonesArterial supply is by superior and inferior hypophyseal arteries, branches of internal carotid arteryDevelopment from ectoderm.Reference: Textbook of anatomy, Head Neck, and Brain, Vishram Singh, 2nd edition, page no.330-331